Sputum from one patient is disinfected immediately following expectoration, this is known as:
1. Concurrent
2. Pre current
3. Recurrent
4. Terminal

Correct answer: 1. Concurrent

Explanation: Ans: a (Concurrent) Ref: Park, 19th ed, p. 108Sterilization is the process of destroying all life including spores.Disinfection- is the killing of infectious agents outside the body by direct exposure to chemical or physical agents.Types of disinfection:a) Concurrent disinfection- It is the application of disinfective measures as soon as possible after the discharge of infectious material from the body of infected person, or after the soiling of articles with such infectious discharges, e.g.. disinfection of urine, faeces, vomit, contaminated linen, cloth hands, dressings, aprons, throughout the course of illness.b) Terminal disinfection- It is the application of disinfective measures after the patient has been removed by death or to hospitals or has ceased to be a source of infection. Terminal disinfection is now scarcely practiced; terminal cleaning is considered adequate, alongwith airing and sunning of rooms, furnitures.c) Precurrent or prophylactic disinfection- Disinfection of water by chlorine, pasteurization of milk and hand washing are examples.